Active immunisation following exposure is given most commonly for -
1. Rabies
2. Polio
3. Plague
4. Measles

Correct answer: 1. Rabies

Explanation: -intra muscular administration of rabies human diploid cell vaccine is done for post exposure prophylaxis of rabies . - Essen regimen : 5 dose regimen and prescribes 1 dose on each of days 0,3,7,14 and 28. Reference : Park's textbook of preventive and social medicine, 23rd edition, pg no:279